Which type of sensory receptor provides information about the force of muscle contraction?
1. Nuclear bag fiber
2. Nuclear chain fiber
3. Golgi tendon organ
4. Bare nerve ending

Correct answer: 3. Golgi tendon organ

Explanation: GOLGI TENDON ORGAN - receptor for inverse stretch reflex (3-25 muscle fibres / tendon organ ) are in series with muscle fibres